LD bodies are associated with:
1. Larva migrans
2. Kala azar
3. Malaria
4. Loa loa

Correct answer: 2. Kala azar

Explanation: Ans. B: Kala azar Visceral leishmaniasis is caused by the protozoan parasite Leishmania Donovani and transmitted by the bite of infected sandfly Phlebotomus argentipes, dog is the most common reservoir. It is also known as kala azar (Indian name meaning black fever). It is a chronic illness characterized by irregular fever, hepatosplenomegaly and pancytopenia, progressive weakness and emaciation. Confirmation of diagnosis is made by demonstration of the parasite by microscopic examination of material obtained by bone marrow aspiration biopsy or rarely splenic aspirates. The parasites are found intracellular in the reticuloendothelial system as the amastigote form which is aflagellate, round and two to four gm in diameter, known as the LeishmanDonovan (LD) body.